'Chancre redux' is a clinical feature of:
1. Early relapsing syphilis
2. Late syphilis
3. Chancroid
4. Recurrent herpes simplex infection

Correct answer: 1. Early relapsing syphilis

Explanation: Chancre redux : Recurrence of the primary sore at its original site during the first two years of the disease (Relapsing stage of syphilis). Pseudochancre redux : Gummatous (tertiary stage) recurrence at the site of the primary chancre.